In plasmodium vivax malaria, relapse in caused by:
1. Sporozoite
2. Schizont
3. Hypnozoite
4. Gametocyte

Correct answer: 3. Hypnozoite

Explanation: Option A: In salivary glands of mosquitoes, infective to human beings Option B: They cause destruction of RBC leading to haemolysis Option D: Infective to mosquitoes. Male & female gametocytes fuse to form Oocyst / Ookinete - converted to Sporozoite - Infectivity is spread Option C: Relapse for P. vivax & P. ovale